Which of the following structures does not drain to the superficial inguinal lymph nodes?
1. Perineum
2. Feet
3. Scrotum
4. Testicle

Correct answer: 4. Testicle

Explanation: Superficial inguinal lymph nodes : Upper nodes divided into upper lateral & upper medial nodes. Lower vertical group drains lymph from most of lower limb Upper lateral group drains lymph from infra umbilical part of anterior abdominal wall & gluteal region. Upper medial group drains from external genital organ including terminal ends of urethra, anal canal & vagina.